Based on epidemiological studies, which of the following has been found to be most protective against colon cancer?
1. High fiber diet
2. Low fat diet
3. Low selenium diet
4. Low protein diet

Correct answer: 1. High fiber diet

Explanation: ENVIRONMENTAL FACTORS & ITS ASSOCIATED RISK TO CAUSE COLON CANCER: INCREASED RISK PROTECTIVE FACTORS High intake of dietary lipids Pelvic irradiation Streptococcus bovis endocarditis Ureterosigmoidostomy High fiber diet NSAIDs Hormone Replacement Therapy